Ligament of Berry is formed by
1. Investing layer of Deep Cervical fascia
2. Pretracheal layer
3. Prevertebral layer
4. Pharyngobasilar fascia

Correct answer: 2. Pretracheal layer

Explanation: The posterior layer of the thyroid capsule is thick. On either side it forms a suspensory ligament for the thyroid gland known as ligament of Berry .The ligaments are attached chiefly to the cricoid cartilage, and may extend to the thyroid cartilage. They support the thyroid gland, and do not let it sink into the mediastinum.